Aedes aegypti index near ports should be less than -
1. 1%
2. 5%
3. 8%
4. 10%

Correct answer: 1. 1%

Explanation: Ans. is 'a' i.e., 1% o For the surveillance of Aedes mosquitoes, the WHO uses an index known as Aedes aegypti index,o This is a house index and is defined as The percentage of houses and their premises, in a limited well-defined area, showing actual breeding of Aedes aegypti larvae".o This index should not be more than 1% in towns and seaports in endeic areas to ensure freedom from yellow fever.International health regulation for yellow fevero Measures designed to restrict the spread of yellow fever are specified in the "International health regulation" of WHO.o These are implemented by the Govt of India through stringent aerial and maritime traffic regulations,o Broadly these comprise : -TravellersAll travellers (including infants) exposed to yellow fever or passing through endemic zones of yellow fever must posses a valid international certificate fo vaccination against yellow fever before they are allowed to enter yellow1 fever receptive areas like India.The validity of the certificate begins 10 days after the date of vaccination and extends up to 10 years.Revaccination performed before the end of the validity of certicicate renders the certificate valid for a further period of 10 years starting on the day of revaccination.If no such certificate fo vaccination is available, the travellar is placed on quarantine for 6 days from the date of leaving an infected area,MosquitoesThe aircraft and ships arriving from endemic areas are subjected to aerosol spraying with prescribed insecticides.Airports and Seaports are kept free from the breeding of insect vectors over an area extending at least 400 metres around their perimeters.The "aedes aegypti index" is kept below /.